All are Anti - VEGF EXCEPT:
1. Pegaptanib
2. 5FU
3. Bevacizumab
4. Ranibizumab

Correct answer: 2. 5FU

Explanation: Ans. (b) 5FU Ref.: A.K. Khurana 6th ed. I251-52 * Anti-VEGF is a class of drug which are used for the treatment of diabetic retinopathy with neovascularization (proliferative diabetic retinopathy-PDR). * Available anti-VEGF are: Ranibizumab, Bevacizumab, Pegaptanib. * Note: TOC for PDR- Laser photocoagulation